ABO incompatibility leads to
1. Hyperacute rejection
2. Acute rejection
3. Chronic rejection
4. None of the above

Correct answer: 1. Hyperacute rejection

Explanation: ABO will cause hyperacute rejection.